Which of these is the MC intracranial tumor in children?
1. Glioma
2. Meningioma
3. Medulloblastoma
4. Lymphangioma

Correct answer: 1. Glioma

Explanation: Ans. A. GliomaThe most common intracranial tumor in children is astrocytoma. Since astrocytomas are types of gliomas, the best answer to this question is glioma.